Muscle inserting on medial border of scapula -
1. Subscapularis
2. Teres minor
3. Latissimus dorsi
4. Seratus anterior

Correct answer: 4. Seratus anterior

Explanation: Ans. is 'd' i.e., Serratus anterior o Insertions on medial border of scapula are -i) Anteriorly : Serratus anteriorii) Posteriorly : Rhomboideus major & minor, levator scapulaeMuscles attached to scapulao Muscles attached to scapula are# Coracoid processTip of the coracoid process gives origin to coracobrachialis (medially) and short head of the biceps laterally. The upper surface receives insertion of pectoralis minor.# Spine of scapula and acromion process There is origin of Deltoid and insertion of trapezius.# Glenoid tubercleSupraglenoid tubercle gives origin to the long head of biceps and infra glenoid tubercle gives origin to long head of triceps.# Lateral border Origins of teres minor and teres major.# Medial border Insertions of serattus anterior (anteriorly); and rhomboideus major, rhomboideus minor and levator scapulae (posteriorly).# Costal (anterior) surface (origin) Subscapularis.# Dorsal surface (origins) Supraspinatus, infraspinatus and at inferior angle lattismus dorsi.Important muscular and ligamentous attachments to the right scapula